A patient is brought to the emergency as a case of head injury, following a head on collision road traffic accident. His BP is 90/60 mmHg. Tachycardia is present. Most likely diagnosis is
1. EDH
2. SDH
3. Intracranial hemorrhage
4. Intra-abdominal bleed

Correct answer: 4. Intra-abdominal bleed

Explanation: Due to cushings reflex HR is decreased in brain injury.